Dentogingival unit comprises of
1. Gingival fibres
2. Gingival fibres and junctional epithelium
3. P.D. fibres and ligament
4. None of the above

Correct answer: 2. Gingival fibres and junctional epithelium